Hormonal contraceptives are contraindicated in women:
1. Less than 25 years of age
2. Who are normotensive
3. Who have thromoboembolic disorders
4. Who have anemia

Correct answer: 3. Who have thromoboembolic disorders

Explanation: - Combined oral contraceptives are absolutely contraindicated in those with Thrombo-embolic disorders. - They are useful in women with anemia, as they decrease the menstrual blood loss. Other Absolute CI of OCPs: Cancer Liver diseases Uterine bleeding Cardiovascular diseases Hyperlipidemia Pregnancy